Continues scrutiny of factors that affect the occurence of a disease is -
1. Epidemiology
2. Monitoring
3. Surveillance
4. Screening

Correct answer: 3. Surveillance

Explanation: Surveillance has been defined as the continuous scrutiny of all aspects of occurrence and the spread of diseases that are pertinent to effective control. Surveillance goes beyond the passive reporting of cases Ref: 25th edition, Park's Textbook of Preventive and Social Medicine, Page no. 138